A metastatic carcinoma in the brain of an adult, most often comes from primary in the
1. Stomach
2. Ovary
3. Oral cavity
4. Lung

Correct answer: 4. Lung

Explanation: Ans. is 'd' i.e. Lung